An obese patient presented in the casualty in an unconscious state. His blood sugar measured 400mg%, urine tested positive for sugar and ketones; drug most useful in management is:
1. Glibenclamide
2. Troglitazone
3. Insulin
4. Chlorpropamide

Correct answer: 3. Insulin

Explanation: This patient is a clear case of diabetic ketoacidosis, with presence of increase in blood sugar (diabetic) and presence of sugar and ketones in urine (ketoacidosis). This cannot be reveed without use of insulin. Ref: Harrison's Principle of Internal Medicine, 16th Edition, Page 2160